Which of the following Schistosoma is seen in the veins of the bladder and Pelvic Organs?
1. Schistosoma japonicum
2. Schistosoma mansoni
3. Schistosoma haematobium
4. Schistosoma intercalatum

Correct answer: 3. Schistosoma haematobium

Explanation: The schistosome life cycle begins after mating in the hepato-poal circulation when the conjoined couple uses their suckers to ascend the mesenteric vessels against the flow of blood. Guided by unknown stimuli, S japonicum enters the superior mesenteric vein, eventually reaching the venous radicals of the small intestine and ascending colon; S mansoni and S haematobium are directed to the inferior mesenteric system. The destination of the former is the descending colon and rectum; the latter, however, passes through the hemorrhoidal plexus to the systemic venous system, ultimately coming to rest in the venous plexus of the bladder and other pelvic organs.Ref: Sherris microbiology; 6th edition; Page no: 904